All are concerned with the rules of insanity except
1. Curren rule
2. Durham rule
3. Me Naughten rule
4. Rule of Hasse

Correct answer: 4. Rule of Hasse

Explanation: Ans: d (Rule of Hasse) Ref: Reddy, 21st ed, p. 411,412Me Naughten rule, Curren rule and Durham rule, all are concerned with insanity but not Rule of Hasse.Rule of Hasse-It is used for calculating the age of the foetus.In the first five months of pregnancy the square root of crown rump length gives the approximate age of foetus in months.In the last five months the length in centimeters divided by 5 gives the age in months.Some important scientists in forensic medicine1. Dactylography-Galton2. Poroscopy-Locard3. Exchange principle-Locard